Vegetations in libman sacendocarditis are ?
1. Large and fragile
2. Small way along the line of closure of valve
3. Small or medium sized on either or both sides of valve
4. Small bland vegetations

Correct answer: 3. Small or medium sized on either or both sides of valve

Explanation: Ans. is 'c' i.e., Small or medium sized on either or both sides of valve SLE, mitral and tricuspid valvulitis with small, sterile vegetations, called Libman-Sacks endocarditis is occasionally encountered. o The lesions are small single or multiple, sterile, granular pink vegetations ranging from 1 to 4 mm in diameter. The lesions may be located on the undersurfaces of the atrioventricular valves, on the valvular endocardium, on the cords, or on the mural endocardium of atria or ventricles. o An intense valvulitis may be present, characterized by fibrinoid necrosis of the valve substance that is often contiguous with the vegetation. o Subsequent fibrosis and serious deformity can result that resemble chronic RHD and require surgery.